What is present in the retropharyngeal space of Gillette?
1. Platysma
2. Loose areolar tissue and lymph nodes
3. Vertebrae
4. Hypoglossal nerve

Correct answer: 2. Loose areolar tissue and lymph nodes

Explanation: Retropharyngeal Space is a potential space between the buccopharyngeal fascia and the prevertebral fascia, extending from the base of the skull to the superior mediastinum. 
It permits movement of the pharynx, larynx, trachea, and esophagus during swallowing.